True statement about parotid gland -a) Duct opens opposite to upper 2nd molar toothb) Duct pierces masseterc) Develops from ectodermd) Develops from mesoderme) Secretomotor fibres come from facial nerve
1. a
2. bc
3. ad
4. ac

Correct answer: 4. ac

Explanation: Parotid duct opens into the vestibule of mouth opposite the crown of upper second molar tooth.
Parotid duct passes over masseter, but does not pierce it. It pierces buccinator muscle.
Parotid gland is ectodermal in origin.
Secremotor (parasympathetic) fibers to parotid gland reach through auriculotemporal nerve, a branch of mandibular nerve (a branch of trigeminal nerve).